Inferior rectal artery is a branch of
1. Inferior mesenteric artery
2. Superior mesenteric artery
3. Celiac trunk
4. Internal pudendal artery

Correct answer: 4. Internal pudendal artery

Explanation: The inferior rectal artery arises near the posterior end of the pudendal canal from internal pudendal artery, and accompanies the nerve of the same name.The artery supplies the skin and muscles of the anal region, and anastomoses with the superior and middle rectal arteries And the other branches are - The perineal artery ( arises near the anterior end of the pudendal canal ), The artery of the penis or theclitoris Ref : B D Chaurasia's Human Anatomy, seventh edition , volume 2 , pg. no. 397